Stereocilia and kinocilium are present in
1. Tongue
2. Inner ear
3. Nose
4. Eye

Correct answer: 2. Inner ear

Explanation: (B) Inner ear > A kinocilium is a special type of cilium on the apex of hair cells located in the sensory epithelium of the vertebrate inner ear. Stereocilia (or stereovilli) are apical modifications of the cell, which are distinct from cilia and microvilli, but closely related to the latter. They are found in three regions of the body: the ductus deferens, the epididymis and the inner ear.